The most malignant brain tumour is
1. Ependymoma
2. Medulloblastoma
3. Oligodendroglioma
4. Glioblastoma multiforme

Correct answer: 4. Glioblastoma multiforme

Explanation: (D) Glioblastoma multiforme # Glioblastoma multiforme (GBM), WHO classification name "glioblastoma", also known as Grade IV Astrocytoma, is the most common and most aggressive malignant primary brain tumor in humans, involving glial cells and accounting for 52% of all functional tissue brain tumor cases and 20% of all intracranial tumors.